All of the following causes meningitis in the elderly except
1. Streptobacillus moniliformis
2. Pneumococci
3. Gram negative bacteria
4. Listeria

Correct answer: 1. Streptobacillus moniliformis

Explanation: Meningitis in elderly people - streptococcus pneumoniae, staphylococcus aureus, gram-negative enteric bacilli. Streptobacillus moniliformis - Rat bite fever Ref: Baveja textbook of microbiology; 4th edition